pH and duration of Action of EDTA is
1. 7.2-7.3 and 15 min
2. 6.8-6.9 and 12 min
3. 7.2-7.3 and 12 min
4. 6.8-6.9 and 15 min

Correct answer: 1. 7.2-7.3 and 15 min